The primary gutta-percha cone must fill the canal wall tightly in the:
1. apical third
2. middle third
3. cervical third
4. entire canal

Correct answer: 1. apical third